Which of the following vaccine is associated with Toxic Shock Syndrome?
1. Infected BCG vaccine
2. Infected DPT vaccine
3. Infected Polio vaccine
4. Infected Measles vaccine

Correct answer: 4. Infected Measles vaccine

Explanation: Toxic shock syndrome (TSS) occurs when measles vaccine is contaminated or the same l is used for more than one session on the same day or next day. The vaccine should not be used after 4 hours of opening the l. TSS is totally preventable and reflects poor quality of immunization services. Symptoms of TSS are severe watery diarrhoea, vomiting and high fever within few hours of vaccination. This may cause death within 48 hours. Case fatality rates are high. Ref: Park's Textbook of Preventive and Social Medicine, 19th Edition, Pages 129, 138, 161, 170; Textbook of Pediatrics By K.N Agarwal, Page 177